Maintenance fluid for a child weighing 10 kg ?
1. 1500 ml/day
2. 1000m1/day
3. 750m1/day
4. 500m1/day

Correct answer: 2. 1000m1/day

Explanation: Ans. is 'b' i.e., 1000m1/day o Up to 10 kg, the requirement is 100 ml/kg/day. o So, Maintenance fluid for a 10 kg child is 1000 ml/kg/day.